Preferred anaesthetic in renal failure is?
1. Doxacurium
2. Atracurium
3. Pancurium
4. Gallamine

Correct answer: 2. Atracurium

Explanation: Ans. is 'b' i.e., Atracurium The unique feature of atracurium is inactivation in plasma by spontaneous nonenzymatic degradation (Hofmann elimination) in addition to that by Alkaline ester hydrolysis. Consequently its duration of action is not altered in patients with hepatic / renal insufficiency or hemodynamic compromise - It is the preferred muscle relaxant for such patients as well as for neonates and elderly. Muscle relaxants safe in renal failure Muscle relaxants completely independent of renal function --> Atracurium, cisatracurium, Sch, Mivacurium. Muscle relaxants primarily excreted in bile - Vecuronium, rocuronium (very less amount is excreted by kidney).